Sex cord stromal tumors are all except:
1. Granulosa cell tumor
2. Leydig cell tumor
3. Yolk sac tumor
4. Sertoli cell tumor

Correct answer: 3. Yolk sac tumor

Explanation: Ans: C (Yolk sac tumor) Ref: Shaw's Textbook of Gynaecology 15th EditionExplanation:WHO Classification of Ovarian tumorsCommon epithelial tumors:* Serous tumors* Mucinous tumors* Endometrioid tumors* Clear cell (mesonephroid tumors)* Brenner tumors* Mixed epithelial tumors* Undifferentiated carcinoma* Unclassified epithelial tumorsIISex cord (gonadal stromal) tumors:* Granulosa-stromal cell tumors, theca cell tumors* Androblastomas: Sertoli-Leydig cell tumors* Gynandroblastomas* UnclassifiedIIILipid (lipoid) cell tumorsIVGerm cell tumors:* Dysgerminoma* Endodermal sinus tumor ( Yolk sac tumor)* Embryonal carcinoma* PoSyembryoma* Choriocarcinoma* Teratoma* Mixed formsVGonadoblastoma:* Pure* Mixed with dysgerminoma or other germ cell tumorsVISoft tissue tumors not specific to ovaryVIIUnclassified tumorsVIIISecondary (metastatic) tumorsIXTumour-like conditionsClassification of Sex Cord-Gonadal Stromal Tumours by Their Histology Cell/tissue normal location Ovary(Female)Testicle(Male)MixedCell/tissuetypeSex cordGranulosa a cell tumourSertoli cell tumourGynandroblas-toma GonadalstromaThecoma,fibromaLeydig cell tumorGynandroblas-toma Mixed Sertoli-Leydig cell tumorGynandroblas-toma